Medial rotation of tibia in flexed leg is brought about by-
1. Popliteus
2. Vastus medialis
3. Quadriceps femoris
4. Adductor magnus

Correct answer: 1. Popliteus

Explanation: Medial rotation of flexed knee occurs by
-        Popliteus
-        Semimembranosus
-        Semitendinosus